Levine sign is seen in
1. Stable angina pectoris
2. Acute bronchial asthma
3. Hemolytic anemia
4. Gastroesophageal reflux disease

Correct answer: 1. Stable angina pectoris

Explanation: Answer- A. Stable angina pectorisStable Angina Pectoris:This episodic clinical syndrome is due to transient myocardial ischemiaWhen the patient is asked to localize the sensation, he or she typically places a hand over the sternum, sometimes with a clenched fist, to indicate a squeezing, central, substernal discomfort (Levine's sign).